'Rim' and 'ball' nephrograms in intravenous urography are seen in –
1. Normal kidneys
2. Acute obstructive nephropathy
3. Chronic obstructive nephropathy
4. Chronic renal failure

Correct answer: 3. Chronic obstructive nephropathy